What should be the concentration of hydrogen peroxide when used for home bleach technique?
1. 3 - 7.5%
2. 7 - 10%
3. 15 - 25%
4. 35%

Correct answer: 1. 3 - 7.5%

Explanation: Hydrogen peroxide - H2O2 can be used alone or mixed with sodium perborate into a paste for use in the “walking bleach”.
H2O2 concentrations ranging from 3 to 7.5% are used for home bleach.

Textbook of Endodontics Nisha GARG 3rd ED